Investigation for assessing proper functioning of biliary system
1. USG
2. CT scan
3. HIDA scan
4. All of the above

Correct answer: 3. HIDA scan

Explanation: HIDA Allows visualization of the biliary tree and gallbladder Presence of inflammation around GB Occasionally, presence of stones within thr biliary tree GB is visualizer within 30 minutes of isotope injection in 90% of normal individuals and within 1 hour in the remainder The bowel is usually seen within 1 hour in the majority of patients Nonvisualization of the GB is suggestive of acute cholecystitis If the patient has contracted gallbladder, as often occurs in chronic cholecystitis, GB visualization may be reduced or delayed Ref:Sabiston 20th edition Pgno :1488